Name the effect in which severity of the response is dose dependent:
1. Deterministic effect
2. Stochastic effect
3. Both of the above
4. None of the above

Correct answer: 1. Deterministic effect